The placenta is anchored to the myometrium partially or completely without any intervening decidua is called
1. Placenta accreta
2. Placenta increta
3. Placenta succenturia
4. Placenta percreta

Correct answer: 1. Placenta accreta

Explanation: Ans-A (Placenta accreta) (420-D)Placenta accreta is an extremely rare forming in which the placenta is directly anchored to the myometrium partially or completely without any intervening decidua.Placenta succenturiata - one (usual) or more small lobe of placenta, size of a cotyledon, may be placed at varying distances from the main placental marginBattledore placenta. The cord is attached to the margin of the placentaVelamentous placenta. The cord is attached to the membranePlacenta membranecae - The placenta is unduly large and thin. The placenta not only develops from the chorion frondosum but also from the chorion leave so that the whole of the ovum is practically covered by the placentaPathological confirmation includes. Placenta accreta(a) Absence of decidua basalis(b) Absence of Nitabuch's fibrinoid layer(c) Varying degree of penetration of the Villi into the muscle bundles (increta) or upto the serosal layer (percreta) (420-D)* The risks include haemorrhage, shock, infection and rarely inversion of the uterus